following are decomposition changes except
1. Discoloration
2. Discharge
3. Degloving
4. Dilatation

Correct answer: 4. Dilatation

Explanation: Decomposition changes Discoloration: greenish discoloration of right iliac fossa due to sulphmethemoglobin, marbling, discoloration under surface of liver, staining of aorta, blackish discoloration of skin is due to formation of ferric sulphide. Distension: abdomen, breasts, penis, scrotum, face bloated, eyes budget out from sockets, gas rigidity, crepitus felt on soft tissues due to gas formation. Discharge: purging, fecal discharge, postmortem delivery of fetus. Detachment: peeling of skin, loosening of tissues, hair. Degloving: of hands and feet. Degradation: anatomy integrity of tissues and organs will be lost, softening. Dissolution: liquefaction of tissue and organs. Ref: FORENSIC MEDICINE AND TOXICOLOGY Dr PC IGNATIUS THIRD EDITION PAGE 33